"3-0" means in hospital waste management is ?
1. Disinfection, Disposal, Drainage
2. Discard, Disinfection, Drainage
3. Destruction, Deep burial, Drainage
4. Destruction. Deep burial, Disposal

Correct answer: 1. Disinfection, Disposal, Drainage

Explanation: Ans. is 'a' i.e., Disinfection, Disposal, Drainage